'Meralgia paresthetica' is due to the compression of which off the follwoing nerves?
1. Medial cutaneous nerve of thigh
2. Lateral cutaneous nerve of thigh
3. Sural nerve
4. Femoral nerve

Correct answer: 2. Lateral cutaneous nerve of thigh

Explanation: Meralgia Paraesthetica results from compression neuropathy of the lateral cutaneous nerve of thigh. It is also called Bernhardt-Roth syndrome. This nerve can be compressed as it runs through the inguinal ligament, just medial to the Anterior superior Iliac spine. Pain, numbness, tingling and paresthesia localised to anterolateral aspect of thigh. Metabolic disorder most notably diabetes is identified as the potential cause of this condition. Ref: Apley's System of Orthopedics and Fractures 8th Edition, Page 252; Lippincott's Primary Care Orthopedics, 2008, Page 87.